Window period" in HIV is defined as -
1. Period between infection and appearance of symptoms
2. Period between onset of infection and clinically detectable level of antibodies
3. Time between HIV positivity to AIDS
4. CD4 count <200

Correct answer: 2. Period between onset of infection and clinically detectable level of antibodies

Explanation: Window period is a period between entry of virus to appearance of detectable Ab in serum